All of the following tumors may be malignant except:
1. Glioma
2. Astrocytoma
3. Hemangioblastoma
4. Ependymoma

Correct answer: 3. Hemangioblastoma

Explanation: Answer is C (Hemangioblastoma) : Cerebellar henzangioblastoma is a benign neoplasm that occurs either sporadically or as part of Von Hippel - Lindau disease - Chandrasoma Taylor 2nd/933 Clinically presentation is with: - Cerebellar dysfunction - Hydrocephalus - Polycythemia (the tumor produces erythropoetin).Q